Day light factor in living room should he?
1. 8%
2. 6%
3. 10%
4. 15%

Correct answer: 1. 8%

Explanation: Ans. is 'a' i.e., 8%